All of the following are true of ß thalassemia major, except
1. Increased osmotic fragility
2. Target cells on peripheral smear
3. Microcytic hypochromic anemia
4. Splenomegaly

Correct answer: 1. Increased osmotic fragility

Explanation: in thalassemia major there will be marked splenomegaly,hypochromic microcytic anemia and target cells in peripheral smear.osmotic fragility decreases